HLA-B27 is associated with -
1. Ankylosing spondylitis
2. Rheumatoid arthritis
3. Chronic active hepatitis
4. Diabetes

Correct answer: 1. Ankylosing spondylitis

Explanation: Ans. is 'a' i.e., Ankylosing spondylitis o HLA-B27is associated with seronegativespondyloartropathies (ankylosingspondylitis. Psoriatic arthritis, Reiter's syndrome, reactive arthritis) and acute anterior uveitis